Mean BP is ?
1. CO x TPR
2. CO x heart rate
3. Heart rate x TPR
4. Stroke volume x TPR

Correct answer: 1. CO x TPR

Explanation: Ans. is 'a' i.e., CO x TPR Arterial blood pressure is the product of the cardiac output and the total peripheral vascular resistance (TPR). Mean blood pressure is the major determinant of adequate blood flow through the tissues. Mean BP = Cardiac output x Total peripheral resistance If cardiac output is expressed as a product of stroke volume and heart rate, the formula blood pressure can be expressed as the product of three variables (the triple product) : - Mean BP = Stroke volume x Heart rate x TPR Blood pressure is therefore affected by conditions that affect any of these factors. Changes in cardiac output (or stroke volume) affect mainly the systolic pressure while changes in peripheral resistance affect mainly the diastolic pressure.